Cataract is seen in all except
1. Rheumatoid arthritis
2. Glucocorticoid admistration
3. Galactosemia
4. Hypoparathyroidism

Correct answer: 1. Rheumatoid arthritis

Explanation: Rheumatoid arthritis causes thinning and melting of the peripheral cornea and sclerosing keratitis called scleromalcia perforans Refer: Khurana 6th edition page number 198